Which of the following differentiates Hodgkin's lymphoma from non Hodgkins lymphoma?
1. Fever, night sweat, weight loss
2. Generalized lymphadenopathy
3. Elderly
4. Reed stem berg cells

Correct answer: 4. Reed stem berg cells

Explanation: ANSWER: (D) Reed stern berg cellsREF: Robbing 7th ed p. 669The differentiation between Hodgkin and non Hodgkin can be reliably done by histopathological examination and Reed Sternberg cells Is very characterstic of hodgkins lymphoma.* The clinical features of both the diseases can be very similar and distinction is difficult to be made on clinical grounds alone at times. Both types of lymphoma may also be associated with general symptoms of weight loss, fevers, and night sweatsDIFFERENCES BETWEEN HODGKIN'S AND NON HODGKIN'S DISEASE:Hodgkin'sNon hodgkin s* Less common* Bimodal distribution , more common in young* More often localised to single group of axial lymph nodes ( cervical , mediastinal , para aortic )* Orderly spread by contiguity * Mesentric and waldeyer's nodes rarely involved* Extranodal involvement uncommon* Reed stern berg cell seen* More common* Occurs in elderly only* Multiple periferal nodes* Non contigous spread* Commonly Involved* Extranodal involvement common* Reed stemberg cell not seen